Caplan's syndrome is pneumoconiosis with
1. Lymphadenopathy
2. Congestive cardiac failure
3. Rheumatoid arthritis
4. HIV

Correct answer: 3. Rheumatoid arthritis

Explanation: Pulmonary manifestations of RA include pleurisy with or without effusion, ILD in up to 20% of cases, necrobiotic nodules (nonpneumoconiotic intrapulmonary rheumatoid nodules) with or without cavities, Caplan syndrome (rheumatoid pneumoconiosis), pulmonary hypertension secondary to rheumatoid pulmonary vasculitis, organized pneumonia, and upper airway obstruction due to cricoarytenoid arthritis. Ref Harrison 19th edition pg 1713